The antihypertensive agent that should be avoided in young females and is used topically to treat alopecia is:
1. Hydralazine
2. Prazosin
3. Minoxidil
4. Indapamide

Correct answer: 3. Minoxidil